Prerequisite for Endoscopic sinus surgery
1. MRI of paranasal sinus
2. CT of PNS
3. Mucocilliary clearing testing
4. Acoustic tests

Correct answer: 2. CT of PNS

Explanation: Recent research on inflammatory sinus disease has implicated a central role for the ethmoid labyrinth, which may influence changes in the maxillary and frontal sinuses. CT can provide an excellent definition of the paranasal sinuses and particularly the ethmoids, which is a prerequisite for endoscopic surgery. Direct coronal CT can readily demonstrate disease in the infundibulum, frontal recess and posterior ethmoids in the same orientation confronting the endoscopist and helps in the planning of ethmoidal surgery.